All are features of RPGN except?
1. Rapid recovery
2. Crescent formation
3. High blood pressure
4. Non - selective proteinuria

Correct answer: 1. Rapid recovery

Explanation: Rapidly progressive glomerulonephritis (RPGN)- characterized by a rapid loss of renal function, with glomerular crescent formation If left untreated, it rapidly progresses into acute renal failure and death within months. C/F- hematuria, red blood cell casts in the urine and non selective proteinuria Hypertension and edema are also seen.